Ca(OH)2 is given
1. In weeping canal
2. When there is bleeding from root canals
3. As a sterilizing agent
4. To remove or dissolve Periapical debris

Correct answer: 1. In weeping canal